Beta blockers that can be used in renal failure are all except:
1. Propranolol
2. Pindolol
3. Sotalol
4. Oxprenolol

Correct answer: 3. Sotalol

Explanation: Ans. (C) Sotalol(Ref: KDT 8th/e p162)Lipid insoluble b-blockers like sotalol, atenolol, nadolol etc are excreted by the kidney and should be avoided in renal failure. Beta blockers contraindicated in renal failure are:A-AtenololN-NadololS-Sotalol